NOT true regarding Iron metabolism
1. Ascorbic acid promotes absorption
2. Absorption takes place in the terminal ileum
3. Phytates inhibit absorption
4. Most of iron is incorporated into red blood cells

Correct answer: 2. Absorption takes place in the terminal ileum

Explanation: (Absorption takes place in the terminal ileum): ( /edition)* Iron is mainly absorbed in the stomach and duodenum* In normal people about 10% of dietary iron is usually absorbed* Ferrous form is soluble and readily absorbedFactors affecting Fe absorption (414-15. U. Satycmarayan 4th)1. Acidity, ascorbic acid, alcohol fructose and cysteine promotes iron absorption2. In iron deficiency anemia, Fe absorption is increased to 2-10 tims that of normal3. Small peptides and amino acids favour iron uptake4. Phytate (found in cereals) and oxalate (found in leafy vegetables) interfere with Fe absorption5. A diet with high phosphate content decreases Fe absorption while low phosphate promotes6. Impaired absorption of iron is absorbed in malabsorption of stomach and/or intestine, iron absorption is severely impaired* Normally the loss of iron from the body of a man is limited to 1 mg per day